Amount of previously unrecognized disease which is diagnosed by screening effort, is -
1. Yield
2. Sensitivity
3. Specificity
4. PPV

Correct answer: 1. Yield

Explanation: Ans. is `a' i.e., Yield Yield of the screening test: Is the amount of previously unrecognized disease that is diagnosed as result of screening effort. Yield of the screening test depends on: Sensitivity of screening test. Specificity of screening test. Prevalence of the disease in population. Participation of individuals in the detection programme. Yield of a screening test increases by: selecting high risk population for screening.